Which of the following Human papilloma virus subtypes are not covered by Quadrivalent Anti-cervical cancer vaccine?
1. Type 6
2. Type 7
3. Type 11
4. Type 16

Correct answer: 2. Type 7

Explanation: b. Type 7(Ref: Nelson's 20/e p, Ghai 8/e p 200-201)Quadrivalent HPV vaccine contains serotypes 16, 18, 6 & 11 with aluminium containing adjuvant.